Fracture-a-la signature is:
1. Gutter fracture
2. Depressed fracture
3. Ring fracture
4. Sutural separation

Correct answer: 2. Depressed fracture

Explanation: Ans. Depressed fracture